Superior oblique is supplied by -
1. Upper branch of 3rd N
2. Lower branch of 3rd N
3. Trochlear
4. Abducens

Correct answer: 3. Trochlear